Which of the following is the most important stimulus for the secretion of bile:
1. Bile salts
2. Bile acid
3. Secretin
4. CCK

Correct answer: 1. Bile salts

Explanation: Ans. A. Bile saltsCholagoguesCholereticsSubstances that cause contraction of gall bladder (CCK)Substances that increase the secretion of bile (bile salts are most potent)